A female presents with 8 weeks amenorrhea with pain left lower abdomen. On USG, there was thick endometrium with mass in lateral adnexa. Most probable diagnosis
1. Ectopic pregnancy
2. Torsion of dermoid cyst
3. Tubo-ovarian mass
4. Hydrosalpinx

Correct answer: 1. Ectopic pregnancy

Explanation: Ans. a. Ectopic pregnancy A female with 8 weeks amenorrhea with pain left lower abdomen and on USG, thick endometrium with mass in lateral adnexa is suggestive of ectopic pregnancy